Burst fracture of the cervical spine is due to
1. Whiplash injury
2. Fall of weight on neck
3. Vertical compression injury
4. Car accident

Correct answer: 3. Vertical compression injury

Explanation: Axial force (vertical compression) is most commonly associated with burst fractures of the thoracolumbar junction and lumbar spine (Refer: Mohindra's Fundamentals of Orthopedics, 2nd edition, pg no. 501)